Surgery on eardrum is done using -
1. Operative microscope
2. Laser
3. Direct vision
4. Blindly

Correct answer: 1. Operative microscope

Explanation: Myringotomy is ideally performed under an operating microscope using a sharp myringotome and good suction apparatus.
"A myringotomy is made under binocular microscopy". — Pediatric otolaryngology